Early adolescence age is
1. 8-11 yrs
2. 10-13 yrs
3. 14-15 yrs
4. 16-19 yrs

Correct answer: 2. 10-13 yrs

Explanation: Adolescence is the stage of transition from childhood to adulthood. Early adolescence ( 10-13yrs) Mid adolescence ( 14-16yrs) Late adolescence (17-19yrs) Ref: Ghai, 9th edition, Chapter 5